Tripoid fracture is seen in
1. Mandible
2. Maxilla
3. Nasal bone
4. Zygoma

Correct answer: 4. Zygoma

Explanation: Fracture of zygoma is otherwise called tripod fracture.Here zygoma is separated at its three processes; Fracture line passes through zygomaticofrontal suture, orbital floor, infraorbital margin and foramen, the anterior wall of maxillary sinus and zygomaticotemporal suture. (Ref: Textbook of ENT; Dhingra; 7th edition; Page no 205)